Virus associated with cancer cervix :
1. HPV
2. HIV
3. EBV
4. HTLV

Correct answer: 1. HPV

Explanation: Ans. is a i.e. HPV Most common virus associated with cancer cercix is Human papilloma virus -- this all of you know. Here I am giving you all details of HPV. Human papilloma virus is a non enveloped DNA virus with a protein capsid It is epihelio tropic and has high affinity for lower ano genital tract. Maximum age of incidence of HPV is under 25 years. Viral Life Cycle : The HPV genome consist of early genes (E) and late genes (L). Early genes are expressed most strongly within the basal and parabasal layers. The late genes encoding capsid proteins are expressed later in superficial layers. Intact virus is shed within superficial squama. Late genes are not strongly expressed in high grade neoplastic lesions. Transmission * It is transmitted by sexual contact with genital skin, mucus membrane or body fluids of a partner with either was or subclinical infection. Congenital HPV infection by vertical transmission from mother to infant develops rarely. Conjunctival, laryngeal, vulvar or peineal was present at birth are most likely due to perinatal exposure to maternal HPV in absence of sexual abuse. Infection is not related to the presence of maternal genital was or route of delivery. So caesarean delivery is recommended only in case of large genital was that would obstruct delivery or avulse with cervical dilation. Diagnosis : is made by the direct detection of HPV DNA. This can be done histologically by in situ hybridization, by nucleic acid amplification PCR; or by hybrid capture (HC) technique. Currently, Hybrid capture 2 is the most common technique in clinical use. It is a chemiluminescent test that uses a mixture of RNA probes for the detection of 13 oncogenic HPV types.